Dew drops on rose petal appearance is seen infection with ?
1. Varicella zoster virus
2. Herpes genitalis
3. Candida
4. T. rubrum

Correct answer: 1. Varicella zoster virus

Explanation: Ans. is 'a' i.e., Varicella zoster virus Chickenpox - Varicella Zoster virus infection Etiology : Varicella-zoster virus. Prodrome : Fever and malaise. Morphology : Crops of papules with erythematous halo; rapidly become vesicular (dew drops on rose petal appearance), then pustular. Eruption at different stages present. Heal with minimal scarring unless complicated by secondary infection or hemorrhagic lesions (as seen in immunocompromised). Adults usually have a more severe eruption. Site : Centripetal distribution. Prophylaxis : Live attenuated vaccine. Treatment : Specific antiviral therapy (acyclovir 800 mg, five times daily x 7-10 days) in adults and in immunocompromised individuals. None needed in children.